Kawasaki disease is associated with all except ?
1. Erythema
2. Posterior cervical lymphadenopathy
3. Thrombocytopenia
4. Conjuctivitis

Correct answer: 3. Thrombocytopenia

Explanation: Ans. is 'c' i.e., ThrombocytopeniaKawasaki diseaseo Kawasaki disease, also known as lymph node syndrome, mucocutaneous lymph node syndrome and infant polyarteritis, is a poorly understood self - limited vasculitis that affects many organs, including the skin, mucus membrane, lymph nodes, heart and blood vessel walls.It is usually seen in children younger than 5 years.o Kawasaki disease predominantly affect medium sized vessels, but may also affect small or large vessels. PresentationPresenting features may be divided into ?I. Mucocutaneous, Lymphnode involvemento Often begins with high grade fevero Erythma of mouth, red cracked lips, a strawberry tongue.o Bilateral conjuctival injection with iritis and keratic precipitate.o Red palms and soleso Rash, which may take many forms (but not vesicular), on trunko Rash with peeling of skin in genital area ---> perinea] desquamation.o Cervical lymphadenopathyo Beau's lines (transverse grooves on nails)o Arthralgia2. Hearto The cardiac complications are the most important aspect of the disease.o These are due to coronary vasculitis.o Vasculitis causes coronary ectasia and coronary artery aneurysm.o Aneurism may lead to MI and sudden death.o Myocarditis, pericarditis with small pericardial effusion.o Valvular regurgitation.Laborator findingso Elevated ESR o Normocytic anemiao Elevated CRP o WBC count is normal or elevated with a predominant of neutrophils. o Thrombocytosis